Which of the following bullets leaves a visible mark in path so that a person can see it -
1. Tandem bullet
2. Tracer bullet
3. Dum Dum Bullet
4. Incendiary Bullet

Correct answer: 2. Tracer bullet

Explanation: The synopsis of forensic medicine & toxicology ; Dr k.s narayan reddy ;28th edition ; pg.no. 126 Tracer bullet leaves a mark or trace while in fight due to which the gunner can observe the strike of shot .